Haab's striae are seen in
1. Buphthalmos
2. Keratoglobus
3. Trachoma
4. Keratoconus

Correct answer: 1. Buphthalmos

Explanation: Buphthalmos: In this condition, IOP is raised and the eyeball is enlarged as a whole. The enlarged cornea is usually associated with central or peripheral clouding and Descemet's tears (Haab's striae). Haab's striae, or Descemet's tears, are horizontal breaks in the Descemet membrane associated with congenital glaucoma. It is named after Otto Haab. Ref: Khurana; 4th edition; Pg. 91